Upper limb weight is transmitted to axial skeleton by all except
1. Coracoacromial ligament
2. Claviculoclavicular (interclavicular) ligament
3. Costoclavicular ligament
4. Acromioclavicular ligament

Correct answer: 1. Coracoacromial ligament

Explanation: Weight of the hand is transmitted to the radius the wrist joint. From radius the line of transmission of weight passes to the ulna interosseous ligament (middle radio-ulnar joint). From ulna the weight is transmitted to the humerus elbow joint. Humerus transmits the weight to the scapula the shoulder joint. Scapula transmits the weight of upper limb to the clavicle the coraco-clavicular ligament & acromio-clavicular joint. Clavicle transmits the weight of the upper limb to the axial skeleton (sternum). Ref - Pg. 792,795; Gray's Anatomy (40th Ed.)